True about color blindness
1. Age related
2. Hereditary
3. Males only
4. Female only

Correct answer: 2. Hereditary

Explanation: B i.e. Hereditary Colour Blindness (Achromatopsia) An individual with normal colour vision is k/a trichromate. In colour blindness, faculty to appreciate one or more primary colours is either defective (anomalous) or absent (anopia). It may be congenital or acquired. Colour blindness is usually a hereditary conditionQ that is present by birth, and though it is more common in males, it can occur in females alsoQ. It can also be an acquired condition through diseases of optic nerve or macula but is not normal age-related phenomena.There is no treatment. Red & green pigment cones are coded on X-Chromosome, and Blue cones on Chromosome 7.